Sclera a thickest at:
1. Limbus
2. Insertion of recti
3. Posterior pole
4. Equator

Correct answer: 3. Posterior pole

Explanation: Posterior pole